Anaesthetic agent mainly excreted by kidneys is :
1. d-Tubocurarine
2. Scoline
3. Halothane
4. Gallamine

Correct answer: 4. Gallamine

Explanation: Gallamine